Panic attack is:
1. Acute anxiety
2. Chronic anxiety
3. Acute depression
4. Chronic depression

Correct answer: 1. Acute anxiety

Explanation: Ans. A: Acute anxietyPanic attack has been described as an episode of incredibly intense fear or apprehension that is of sudden onset. A panic attack is a discrete period of intense fear or discomfort in which symptoms developed abruptly and reached a peak within 10 minutes.The symptoms of a panic attack commonly last approximately thirty minutes. However, panic attacks can be as short as 15 seconds, while sometimes panic attacks may form a cyclic series of episodes, lasting for an extended period, sometimes hours.Often those afflicted will experience significant anticipatory anxiety and limited symptom attacks in between attacks, in situations where attacks have previously occurred.The effects of a panic attack vary from person to person. Some, notably first-time sufferers, may call for emergency services. Many that experience a panic attack, mostly for the first time, fear they are having a heart attack or a nervous breakdown. Experiencing a panic attack has been said to be one of the most intensely frightening, upsetting and uncomfortable experiences of a person's life.